The best method for estimation of hemoglobin concentration in blood is
1. Acid hematin method
2. Alikali hemantin method
3. Cyanmethemoglobine method
4. Non of the above

Correct answer: 3. Cyanmethemoglobine method